All of the following statements are TRUE about second generation antihistaminic agents EXCEPT :
1. These do not impair psychomotor performance
2. These possess high anti–motion sickness activity
3. These lack anticholinergic actions
4. These may possess additional antiallergic mechanisms

Correct answer: 2. These possess high anti–motion sickness activity

Explanation: Anti-motion sickness activity is related to the anticholinergic property. This property is exhibited by first-generation compounds whereas second-generation antihistaminics lack this potential.